Most common site of nasopharyngeal carcinoma is-
1. Nasal septum
2. Fossa of Rosenmuller
3. Vault of nasopharynx
4. Anterosuperior wall

Correct answer: 2. Fossa of Rosenmuller

Explanation: Ans. is 'b' i.e., Fossa of Rosenmuller o Repeat from previous sessions.